Which of the following features is more suggestive of organic conditions?
1. Primary delusions
2. Visual hallucinations
3. Made phenomena
4. Third person auditory hallucinations

Correct answer: 2. Visual hallucinations

Explanation: Visual hallucinations are characteristic of organic conditions. The other choices mentioned in the question - Primary delusions, Made phenomena and third person auditory hallucinations are all examples of First rank symptoms, hence more characteristic of Schizophrenia.